Anterior fontannel corresponds to all EXCEPT:
1. Frontal bones
2. Coronal suture
3. Lambdoid suture
4. Saggital suture

Correct answer: 3. Lambdoid suture

Explanation: Ans. C Lambdoid sutureRef: Gray, 41st ed. pg. 418-419* Anterior fontanel is formed by frontal bone and parietal bone. It is diamond shaped and closes at 18 months.* Posterior fontanel is formed by parietal bone and occipital bone. It is triangular shaped and closes immediately after birth or within 2-3 months.